Delayed tuberculin test response is due to:
1. B lymphocytes
2. T lymphocytes
3. Monocytes
4. Histiocytes

Correct answer: 2. T lymphocytes

Explanation: Ans. B i.e. T lymphocytes